Nutrition for most of the life of ameloblast derived from
1. Dental Sac
2. Dental Papilla
3. Pulp proper
4. None of the above

Correct answer: 1. Dental Sac